Which of the following artery runs through round ligament
1. Uterine artery
2. Sampson artery
3. Obturator artery
4. Internal iliac artery

Correct answer: 2. Sampson artery

Explanation: Sampson artery, a branch of uterine artery runs within round ligament.